A newborn presents with an early onset of dyspnea with chest retractions, expiratory grunting and cyanosis following an uneventful normal preterm labor. On examination no cardiac murmurs are heard and the lungs appear clear. On a plain X-ray there is evidence of prominent pulmonary vascular markings and fluid lines in the fissures. The cyanosis improves with minimal oxygen. The most probable diagnosis is:
1. Meconium aspiration syndrome
2. Fetal aspiration syndrome
3. Transient tachypnea of the newborn
4. Hyaline membrane disease

Correct answer: 3. Transient tachypnea of the newborn

Explanation: Transient tachypnea of the newborn * The clinical case given above indicates the likely diagnosis of transient tachynea of the newborn, which is otherwise called Respiratory distress syndrome type II. * It is characterized by the early onset of dyspnea with chest retractions, expiratory grunting and cyanosis. Neonates usually recover within 3 days. * The syndrome is believed to be secondary to slow absorption of fetal lung fluid resulting in decreased pulmonary compliance and tidal volume. * The distinctive feature of transient tachypnea of the newborn from hyaline membrane disease is sudden recovery of the infants and the absence of a radiographic reticulogranular pattern on CXR.